A 4-year child presents with a history of hoarseness, croupy cough and aphonia, the child has dyspnoea with wheezing. The most probable diagnosis is ?
1. Asthmatic bronchitis
2. Laryngeal foreign body
3. Bronchopneumonia
4. Retropharyngeal abscess

Correct answer: 2. Laryngeal foreign body

Explanation: Ans. is 'b' i.e., Laryngeal foreign body